Most common age for depression is
1. Middle age men
2. Middle age female
3. Young girl
4. Children

Correct answer: 2. Middle age female

Explanation: An almost universal observation, independent of country or culture, is the twofold greater prevalence of major depressive disorder in women than in men. The mean age of onset for major depressive disorder is about 40 years, with 50 percent of all patients having an onset between the ages of 20 and 50 years. Reference: Synopsis of Psychiatry, page 349.